Which of the following differentiate Pseudohallucination from hallucinations?
1. Disorder of perception
2. Absence of real stimulus
3. External objective space
4. Involuntary

Correct answer: 3. External objective space

Explanation: Ans. C. External objective spaceHallucination/Pseudohallucination- disorder of perceptionPSEUDO-HALLUCINATIONSHALLUCINATIONSInner subjective spaceExternal objective spaceClearly delineatedClearly delineatedRemains unalteredRemains unalteredIndependent of willIndependent of will